Punishment for concealment of birth is given under
1. 312 IPC
2. 317 IPC
3. 315 IPC
4. 318 IPC

Correct answer: 4. 318 IPC

Explanation: Refer the byte "Legal sections".